Judet view is used for fracture of
1. Acetabulum
2. Coccyx
3. Calcaneum
4. Scaphoid

Correct answer: 1. Acetabulum

Explanation: * Judet's view is used to identify the fracture of acetabulum * Bohler's angle / Angle of Gissane is used for fracture of calcaneum * Fracture of scaphoid can be identified by oblique view or AP view in ulnar deviation. Other important views are: * Broden's view - subtalar joint * Von Rosen - Developmental Dysplasia of Hip . Open mouth view - Odontoid